Sinusoidal heart rate pattern is seen in:
1. Placenta previa
2. Vasa previa
3. Battledore placenta
4. Succenturiate placenta

Correct answer: 2. Vasa previa

Explanation: Sinusoidal heart rate is observed in the antepartum period due to severe fetal anaemia as in Rh immunisation ,ruptured vasa praevia or twin twin transfusion.It is rare in intrapartum period. Refer page no 521 of Text book of obstetrics,sheila balakrishnan,2 nd edition.